According to IMNCI Programme the term "Young Infants" includes children below the what age?
1. 7 days
2. 28 days
3. 2 months
4. 6 months

Correct answer: 3. 2 months

Explanation: Ans. c (Two months) (Ref. Park's textbook of PSM 22nd /423, 532, 552)# The major highlights of the Indian adaptation of IMNCI are:0- Inclusion of 0-7 days age in the programme.- Incorporating national guidelines on malaria, anemia, vitamin-A supplementation and immunization schedule.- Training of the health personnel begins with sick "young infants" up to 2 months.- Proportion of training time devoted to sick young and sick child is almost equal; and is skill based.Integrated management of childhood illness (IMCI)# IMCI is an integrated strategy approach to the management of childhood illness as it is important for child health programmes to look beyond the treatment of a single disease.# The extent of childhood morbidity and mortality caused by the following diseases is substantial -- Diarrhoea,- ARI,- Malaria,- Measles,- Malnutrition,- Otitis media.# Integrated management of childhood illness (IMCI) targets the above diseases, but not neonatal tetanus.# IMCI is cost effective and emphasizes prevention of disease and promotion of child health and development besides provision of standard case management of childhood illness.# It has been decided to launch IMCI in four selected districts each in -- Uttaranchal,- Madhya Pradesh,- Orissa,- Rajasthan,- Maharashtra,- Gujarat,- Delhi,- Haryana and- Tamil Nadu.# IMNCI will be implemented in a phased manner throughout the country.# In the Indian context this strategy is quite pertinent considering the recent evidence from NFHS II report highlighting that ARI (17 %), diarrhea (13 %), fever (27 %) and undernutrition (43 %) were the commonest morbidities observed in the children below 3 years.# Coverage of measles vaccination in children between 12-23 months is also low.# The Indian version of IMCI has been renamed as Integrated Management of Neonatal and Childhood Illness (IMNCI).# It is the central pillar of child health interventions under the RCH II strategy.